Nitric Oxide is produced in:
1. Endothelium
2. Plasma
3. Platelets
4. Serum

Correct answer: 1. Endothelium

Explanation: A i.e. Endothelium Nitric oxide is synthesized from arginine by the enzyme NO synthetase (NOS) in endothelial cellsQ. It causes vasodilation.